Example of disability limitation:-
1. DOTS
2. Quit smoking
3. BCG vaccine
4. Spectacles for refractory errors

Correct answer: 4. Spectacles for refractory errors

Explanation: Disability Limitation:- Tertiary level of prevention when patient reports late in pathogenesis phase. Prevent transition of disease from impairment to handicap. Spectacles in refractive error stabilizes visual acuity (Disability limitation) and provides visual clarity (Rehabilitation) too.